A lady complaining of occasional pain over her middle finger. The surgeon found a black spot.Pressing around the black spot didn't elicit any pain, while pain is sensed on pressing the spot. What is the diagnosis
1. Haemangioma
2. Glomus tumour
3. A-V fistula
4. Melanoma

Correct answer: 2. Glomus tumour

Explanation: Glomus tumor, nail bed areas are a major site, appear as small purple black nodules, They develop from subcutaneous arteriovenous shunts. Pain on insignificant stimuli. (Occasional pain, can even be do to cold exposure) Bailey and love 27th edition, pg no. 614